Crook's hyaline change occurs in -
1. Voluntary muscles
2. Diabetes mellitus liver
3. Basophils of pitutary gland in cushings disease
4. Viral hepatitis- B liver

Correct answer: 3. Basophils of pitutary gland in cushings disease

Explanation: The pituitary in Cushing syndrome shows changes regardless of the cause.The most common change is Crooke hyaline change -the normal granular, basophilic cytoplasm of ACTH producing cells is replaced by homogenous, lightly basophilic material. This alteration is the result of the accumulation of intermediated keratin filament in the cytoplasm.